Non-ketotic hypoglycemia is seen in all except
1. Galactosemia
2. Hereditary fructose intolerance
3. Hyperinsulinism
4. Glycogen storage disorders

Correct answer: 4. Glycogen storage disorders

Explanation: In glycogen storage disease, conditions; Hyperlipidemia, lactic acidosis and ketosis(table:10.2), hyperuricemia, cirrhosis.Ref: DM Vasudevan, 7th edition, page no: 128